A patient with condylar fracture, the occlusion is normal with normal mouth opening. The best treatment is?
1. IMF for 3 weeks
2. IMF for 5-6 weeks.
3. Conservative treatment, close observation and soft diet and return to normal function as soon as possible.
4. Open reduction and bone plating

Correct answer: 3. Conservative treatment, close observation and soft diet and return to normal function as soon as possible.